HbH is characterized by?
1. Deletion of three alpha chain genes
2. Deletion of three alpha chains and one beta chain genes
3. Deletion of two alpha and two beta chain genes
4. Deletion of four alpha chain genes

Correct answer: 1. Deletion of three alpha chain genes

Explanation: Alpha -Thalassemia Silent carrier state 1 gene deletion -a a a a thalassemia trait 2 gene deletion -a-a HbH disease 3 gene deletion - - -a Hydrops fetalis 4 gene deletion - - - -